Extrapyramidal side-effect least seen with ?
1. Clozapine
2. Haloperidol
3. Thioridazine
4. Fluphenozine

Correct answer: 1. Clozapine

Explanation: Ans. is 'a' i.e., Clozapine o Antipsychotics with no extrapyramidal effects. 1. Clozapine 2. Aripiprazole 3. Quetiapine o Amongst typical antipsychotics, thioridazone has least extrapyramidal effects.